Which does not induce microsomal enzymes?
1. Cimetidine
2. Griseofulvin
3. Rifampicin
4. Phenobarbitone

Correct answer: 1. Cimetidine

Explanation: - Among the given options, only Cimetidine is a microsomal enzyme inhibitor.